Percussion is a dental diagnostic procedure used in determining whether
1. The tooth is vital
2. The pulp is hyperemic
3. A periodontitis exists
4. All of the above

Correct answer: 3. A periodontitis exists